WHO declared global eradication of small pox on ?
1. 26th October 1977
2. 5th July 1975
3. 17th May 1975
4. 8th May 1980

Correct answer: 4. 8th May 1980

Explanation: Ans. is 'd' i.e., 8th May 1980 The world's last case of smallpox occurred in somalia on 26 October 1977 (Apart from a laboratory accident in 1978). The WHO declared on 8 may 1980 that smallpox had been eradicated. India The last indigenous case in India occured on 17 May 1975 in Bihar. On 24 May 1975, India's last known case of smallpox, an importation from Bangladesh occured. In April 1977, India was declared smallpox free by an International Commission for Assessment of smallpox eradication.